A 55 year old patient complains of decreased distance vision. However, now he does not require his near glasses for near work. The most likely cause is-
1. Posterior subcapsular cataract
2. Zonular cataract
3. Nuclear sclerosis
4. Anterior subcapsular cataract

Correct answer: 3. Nuclear sclerosis

Explanation: This is a typical example of second-sight. Ref: Ophthalmology by Ducker 2nd/e p.412. (Ref: Ophthalmology by Ducker 2nd/e p.412) This is a typical example of second-sight. When a neclear cataract develops, it can bring about a temporary improvement in near vision, called 'second sight'.